Vitamin D deficiency is manifested as:
1. Scurvy
2. Night blindness
3. Beri-Beri
4. Rickets

Correct answer: 4. Rickets

Explanation: Ans. D: RicketsRickets, a childhood disease characterized by impeded growth, and deformity, of the long bones which can be caused by calcium or phosphorus deficiency as well as a lack of vitamin D.The dietary risk factors for rickets include abstaining from animal foods.Vitamin D deficiency remains the main cause of rickets among young infants in most countries, because breast milk is low in vitamin D and social customs and climatic conditions can prevent adequate UVB exposure.Osteomalacia, occurs exclusively in adults and is characterized by proximal muscle weakness and bone fragility.